Civatte bodies are found in
1. Lichen planus
2. Psoriasis
3. Dermatophytosis
4. Vitiligo

Correct answer: 1. Lichen planus

Explanation: civatte bodies are multiple apoptotic basal cells at dermoepidermal junction. seen in lichen planus iadvl Textbook of dermatology page 1077